Neutral triangle is seen radiologically in:
1. Neck femur
2. Proximal humeru
3. Calcaneus
4. Talus

Correct answer: 3. Calcaneus

Explanation: C i.e. Calcaneus Neutral triangle is the area between trabeculae of calcaneumQ